Scl-70 antibody is characteristics of
1. SLE
2. Scleroderma
3. Dermatomyositis
4. Sjogern's syndrome

Correct answer: 2. Scleroderma

Explanation: Ref Robbins 7/e p229 DNA topoisomerase I (anti-Scl 70), is highly specific; it is present in as many as 70% of patients with diffuse scleroderma (and in less than 1% of patients with other connective tissue diseases) and is a marker for the devel- opment of more aggressive disease with pulmonary fibro- sis and peripheral vascular changes. The other ANA is an anticentromere antibody, found in as many as 90% of patients with limited scleroderma (i.e., the CREST syn- drome); it indicates a relatively benign course.